All the structures are related to hyoglossus deeply except
1. Lingual artery
2. Lingual nerve
3. Middle constrictor of Pharynx
4. Stylohyoid ligament

Correct answer: 2. Lingual nerve

Explanation: Relations of HyoglossusSuperficialStyloglossus, lingual nerve, submandibular ganglion, deep part of the submandibular gland, submandibular duct, hypoglossal nerve and veins accompanying it.Deep(a) Inferior longitudinal muscle of the tongue.(b) Genioglossus (c) Middle constrictor of the pharynx.(d) Glossopharyngeal nerve.(e) Stylohyoid ligament.(f) Lingual artery.Structures passing deep to the posterior border of hyoglossus, from above downwards:(a) Glossopharyngeal nerve.(b) Stylohyoid ligament.(c) Lingual artery.Ref: Chaurasia; Volume III; 7th edition; Page 136